Which of the following is not true for various angles with the sites of fracture?.
1. Kite's - club foot
2. Gissan's - calcaneus
3. Baumann - lateral condyle fracture of femur
4. Cobb's - scoliosis

Correct answer: 3. Baumann - lateral condyle fracture of femur

Explanation: Baumann angle is for supracondylar fracture of humerus. Baumann's angle is created by drawing a line parallel to the longitudinal axis of the humeral shaft and a line along the lateral condylar physis as viewed on the AP image Normal is 70-75deg, but best judge is a comparison of the contralateral side Kite's angle calculated in club foot Cobb's - scoliosis Gissan's - calcaneus